Cartilage in trachea -
1. Hyaline
2. Elastic
3. Articular
4. Fibro

Correct answer: 1. Hyaline

Explanation: Ans. is 'a' i.e., Hyalineo Tracheal rings are hyaline cartilage.Types of Cartilages Hyaline CartilageElastic CartilageFibrocartilage Articular cartilageArytenoid cartilageThyroid cartilageCricoid cartilageEpiphyseal growth plateNasal septumCostal cartilage of ribsTracheal rings ExampleAuricleAuditory tubeEpiglottisCuneiform cartilage of larynxExternal auditoiy canalArticular discsIntervertebral discsMenisciPublic symphysisAcetabular labrum